Misexpression of which of the following homeobox genes alters the position of the forelimbs during development -
1. HOXA7
2. HOXB8
3. HOXC9
4. HOXD10

Correct answer: 2. HOXB8